National Iron Plus Initiative is an example of:
1. Primordial prevention
2. Primary prevention
3. Secondary prevention
4. Tertiary prevention

Correct answer: 2. Primary prevention

Explanation: Ans. (b) Primary prevention* National Iron PLUS Initiative is an attempt to look at Iron Deficiency Anemia in which beneficiaries will receive iron and folic acid supplementation irrespective of their Iron/hemoglobin status* Thus its Primary level of prevention (Specific protection)